Which one of the following drugs is an antipseudomonal penicillin ?
1. Cephalexin
2. Cloxacillin
3. Piperacillin
4. Dicloxacillin

Correct answer: 3. Piperacillin